A small child presents with a low-grade fever, coryza, sore throat, a bright red rash on his cheeks, and a less intense erythematous rash on his body. Elevated IgG and IgM antibody titers to parvovirus suggest a diagnosis of which of the following?
1. Acute Lyme disease
2. Fifth disease
3. Possible hepatitis B infection
4. Possible subacute sclerosing panencephalitis (SSPE)

Correct answer: 2. Fifth disease

Explanation: Fifth disease is a viral exanthem commonly seen in children 8- to 12-year-old. Children are ill for a few days but recover without incident, usually within about 1 week. Unfortunately, if a pregnant female acquires the disease in the first trimester of pregnancy, the fetus is at risk. The causative agent is thought to be a parvovirus (Parvovirus B19). Fifth disease is also known as erythema infectiosum or slapped cheek syndrome. The four other maculopapular or macular rash diseases of childhood are measles, roseola, rubella, and scarlet fever.